The endotracheal tube is inserted in:
1. Right bronchus
2. Left bronchus
3. Trachea
4. in laryngopharynx

Correct answer: 3. Trachea